Tributaries of Lt renal vein are all except:
1. Left lumbar vein
2. Left gonadal vein
3. Left suprarenal vein
4. Left diaphragmatic vein

Correct answer: 1. Left lumbar vein

Explanation: Ans is 'a' ie left lumbar vein (Ref. BDC (vol II), 3/e, p 272)Tributaries of left renal veinLeft gonadal veinLeft suprarenal veinLeft inferior phrenic veinOn right side they open directly into the inferior vena cava.